Maximum water reabsorption in the Gastrointestinal tract occurs in ?
1. Stomach
2. Jejunum
3. Ileum
4. Colon

Correct answer: 2. Jejunum

Explanation: Ans. is 'b' i.e., JejunumWater absorption from GIT Water and electrolytes need no digestion and are absorbed as such.There is approximately 9 liters of water input : Ingested water : 2.0 litres, Saliva : 1.5 litres, gastric juice : 2.5 litres, bile 0.5 litre, pancreatic juice : 1.5 litres, and small intestine secretions 1-0 litre.Out of these 9 litres, 7.7 litres (85%) is absorbed in small intestine and 1.0 - 1.5 litres (5-10%) is absorbed in large intestine (colon).Total 8.8 litres of water is absorbed and 0.2 litre is excreted in feces.In small intestine, most of the water is reabsorbed in the jejunum.